Non-depolarizing blockade is potentiated by:
1. Hyperkalemia
2. Hypomagnesemia
3. Chronic Phenytoin therapy
4. Quininidine

Correct answer: 4. Quininidine

Explanation: Neuromuscular-blocking drugs block neuromuscular transmission at the neuromuscular junction, causing paralysis of the affected skeletal muscles. This is accomplished either by acting presynaptically the inhibition of acetylcholine (ACh) synthesis or release or by acting postsynaptically at the acetylcholine receptors of the motor nerve end-plate. While some drugs act presynaptically (such as botulinum toxinand tetanus toxin), those of current clinical importance work postsynaptically.